A child came with similar lesions over elbows, shaft of penis and forearm. shows pinhead discrete but grouped papules over right elbow. Diagnosis?
1. Lichen nitidus
2. Lichen planus
3. Scabies
4. Phrynoderma

Correct answer: 1. Lichen nitidus

Explanation: Lichen nitidus : Grouped pin head sized papules on- Elbow- Forearm- Dorsum of hand- Shaft of penis Histology shows :Elongated rete ridgesLymphocytic infiltrateTogether they give " claw clutching appearance" Phrynoderma: keratotic papules with intrafollicular plugging on extensor surfaces.